In which type of nerve fibres is conduction blocked maximally by pressure
1. A alpha
2. A beta
3. A gamma
4. C

Correct answer: 1. A alpha